A unilateral mass causing nasal obstruction is seen in the nose of the patient. The most probable diagnosis is -
1. Rhinophyma
2. Antrochoanal polyp
3. Furuncle
4. Atrophic rhinitis

Correct answer: 2. Antrochoanal polyp

Explanation: Ans. is 'd' i.e., Antrochoanal polyp Common cause of unilateral nasal obstruction VestibuleNasal cavityNasopharynx* Furuncle* Vestibulitis* Sternosis of nares* Atresia* Nasoalveolar cyst* Papilloma* Squamous cell carcinoma* Foreign body* Deviated nasal septum (DNS)* Hypertrophic turbinates* Concha bullosa* Antrochoanal polyp* Synechia* Rhinolith* Bleeding polyps of septum* Benign and malignant tumours of nose and paranasal sinuses* Sinusitis, unilateral* Unilateral choanal atresia